Bismuth compounds are incorporated in root canal sealer materials because they are:
1. Radio-opaque
2. Germicidal
3. Radiolucent
4. Adhesive

Correct answer: 1. Radio-opaque

Explanation: Root canal sealers should be radiopaque, so that it can be visualized in the radiograph.
Radiopacity is provided by salts of heavy metals such as silver, barium and bismuth.